Prerna strategy is associated with:
1. Female literacy
2. Population control
3. Rural infrastructure
4. None of the above

Correct answer: 2. Population control

Explanation: Prerna strategy provides incentives to couples who fulfil the following criteria: girl marrying at age more than 19 years, first child after 2 yeras after marriage, keeping a gap of 3 years between first and second child and sterilization of either parent. Ref: National Health Programmes in India, J.Kishore, 10th edition pg: 643